Bilateral parotid enlargement is seen in:-
1. Wegner's granulomatosis
2. Sjogren's syndrome
3. Kimura's disease
4. All of the above

Correct answer: 4. All of the above

Explanation: Causes of Bilateral Parotid Enlargement Viral infections: Mumps Influenza Epstein - Barr virus Coxsackie virus Cytomegalovirus HIV Sarcoidosis Amyloidosis Kimura's Disease Wegner's granulomatosis Sjogren's syndrome Metabolic Diabetes mellitus Hyperlipoproteinemia Chronic pancreatitis Hepatic cirrhosis Endocrine Acromegaly Gonadal hypofunction